Microscopic examination of articular surface of a synovial joint demonstrates the following histology representing:
1. Hyaline cartilage
2. Adipocytes
3. Endothelial cells
4. Periosteum

Correct answer: 1. Hyaline cartilage

Explanation: The typical diarthrodial synovial joint has two opposing surfaces composed of hyaline articular cartilage. Microscopically, the cartilage is composed of four distinct zones. 1) Superficial tangential zone characterized by chondrocytes, and collagen fibers aligned roughly parallel to the surface 2) Intermediate zone 3) Deep radial zone with chondrocytes and collagen fibers aligned perpendicular to the surface 4) Zone of calcified cartilage firmly joined to the underlying subchondral bone